Parkland's formula for calculating fluid replacement to be given in first 24 hours in a case of deep burns? (TBSA = Total body surface area of the % of burns)
1. TBSA x weight in kg x 4
2. TBSA x weight in kg x 2
3. TBSA x weight in kg x 3
4. TBSA x weight in kg

Correct answer: 1. TBSA x weight in kg x 4

Explanation: Answer- A TBSA x weight in kg x 4Resuscitation Formulas (Note- Parkland Formula has been updated as per ATLS 10th edition ) Formula Crystalloid Volume Colloid Volume Free Water Parkland 1.2 mL/kg per % TBSA burn when Age is > 14 years 2. 3 mL/kg per % TBSA burn when Age is < 14 years but >1 year 3. 3 mL/kg per % TBSA burn when Age is <1 year and Weight is < 30 kg ADD Dextrose as maintenance fluid. 4. Deep Burns- 4 mL/kg per % TBSA burn until Urine is clear and U/Output is 1-1.5 ml/kg/hr. None None Brooke 1.5 mL/kg per % TBSA burn 0.5 mL/kg per % TBSA burn 2.0 L Galveston (pediatric) 5000 mL/m2 burned area + 1500 mL/m2 total area None None